Life span of Sigmund Freud was
1. 1856-39 and he passed most of his life in Austria
2. 1859-36 and he passed most of his life in Austria
3. 1859-36 and he passed most of his life in Grmany
4. 1859-36 and he passed most of his life in France

Correct answer: 1. 1856-39 and he passed most of his life in Austria

Explanation: A. i.e. 1856 - 39